A patient with recent-onset primary generalized epilepsy develops drug reachtion and skin rash due to Phenytoin sodium. The most appropriate course of action is:
1. Shift to clonazepam
2. Restart phenytoin sodium after 2 weeks
3. Shift to sodium valproate
4. Shift to Ethosuximide

Correct answer: 3. Shift to sodium valproate

Explanation: Ref: KDT 6/e p411 Hypersensitivity reaction to a drug mandates its discontinuation. Phenytoin is being used for control of GTCS. Valproate can be substituted for phenytoin because it is equally effective against GTCS. Ethosuximide is useful only against absence seizures whereas clonazepam is used to control acute attacks only. Therefore, best course is to change the drug from phenytoin to valproate.